The ureter is lined by .................ephithelium
1. Stratified squamous
2. Cuboidal
3. Ciliated columnar
4. Transitional

Correct answer: 4. Transitional

Explanation: Ureters - Ureters are muscular tubes that conduct urine from renal pelvis to the urinary bladder. The wall of the ureter has three layers: An inner lining of mucous membrane , A middle layer of smooth muscle, An outer fibrous coat: adventitia. Mucous Membrane -The mucous membrane has a lining of transitional epithelium that is 4 to 5 cells thick and an underlying connective tissue, lamina propria. The mucosa shows a number of longitudinal folds that give the lumen a star-shaped appearance in transverse section. The folds disappear when the ureter is distended. REF: Inderbir Singh's Textbook of Human Histology, seventh edition, pg.no.,317.